The following Rosenbaum chart is used to test for visual acuity at a distance of
1. 6 meters
2. 3 meters
3. 36 cm
4. 6 cm

Correct answer: 3. 36 cm

Explanation: (C) 36 cm # VISUAL ACUITY:> Snellen chart is used to test acuity at a distance of 6 m (20 ft). For convenience, a scale version of the Snellen chart called the Rosenbaum card is held at 36 cm (14 in.) from the patient.> The Rosenbaum card is a miniature, scale version of the Snellen chart for testing visual acuity at near.> When the visual acuity is recorded, the Snellen distance equivalent should bear a notation indicating that vision was tested at near, not at 6 m (20 ft), or else the Jaeger number system should be used to report the acuity.> All subjects should be able to read the 6/6 m (20/20 ft) line with each eye using their refractive correction, if any.> Patients who need reading glasses because of presbyopia must wear them for accurate testing with the Rosenbaum card. If 6/6 (20/20) acuity is not present in each eye, the deficiency in vision must be explained.> If it is worse than 6/240 (20/800), acuity should be recorded in terms of counting fingers, hand motions, light perception, or no light perception.> Legal blindness is defined by the Internal Revenue Service as a best corrected acuity of 6/60 (20/200) or less in the better eye or a binocular visual field subtending 20deg or less.> For driving the laws vary by state, but most states require a corrected acuity of 6/12 (20/40) in at least one eye for unrestricted privileges. Patients with a homonymous hemianopia should not drive.